The nerve roots blocked in pudendal nerve block is :
1. L1,2,3
2. L2,3
3. S2,3,4
4. S4

Correct answer: 3. S2,3,4

Explanation: Pudendal nerve arises from S2,3,4 roots Pudendal block will block all the roots. Ref: Datta Obs 9e pg 480.